Which of the following agent is a rho kinase inhibitor
1. Fasudil
2. Ranolazine
3. Amiloride
4. Nicorandil

Correct answer: 1. Fasudil

Explanation: Fasudil (INN) is a potent Rho-kinaseinhibitor and vasodilator. Since it was discovered, it has been used for the treatment of cerebral vasospasm, which is often due to subarachnoid hemorrhage,as well as to improve the cognitive decline seen in stroke patients. It has been found to be effective for the treatment of pulmonary hypertension Refer katzung 12e p206